Councilman bodies are seen in
1. Alcoholic cirrhosis
2. Wilson's disease
3. Acute viral hepatitis
4. Autoimmune hepatitis

Correct answer: 3. Acute viral hepatitis

Explanation: In pathology, a Councilman body, also known as Councilman hyaline body or apoptotic body, is an acidophilic globule of cells that represents a dying hepatocyte often surrounded by normal parenchyma. They are found in the liver of individuals suffering from viral hepatitis, yellow fever, or other viral syndromes Refer robbins 9/e p614